Diabetic patient with liver cirrhosis and hyperpigmentation, diagnosis is
1. Wilson's disease
2. Hemochromatosis
3. Primary sclerosing cholangitis
4. Hepatitis B

Correct answer: 2. Hemochromatosis

Explanation: Clinical Features :Males predominate (in a ratio of 5 to 7 : 1), with slightly earlier clinical presentation, partly because physiologic iron loss (with menstruation or pregnancy) retards iron accumulation in women. In the most common forms, caused by HFE mutations, symptoms usually first appear in the fifth and sixth decades of life in men and later in women. The principal manifestations include hepatomegaly, skin pigmentation (particularly in sun-exposed areas), deranged glucose homeostasis or frank diabetes mellitus from destruction of pancreatic islets, cardiac dysfunction (arrhythmias, cardiomyopathy), and atypical arthritis. In some patients the presenting complaint is loss of libido and impotence. The classic clinical triad of cirrhosis with hepatomegaly, skin pigmentation, and diabetes mellitus may not develop until late in the course of the disease. Death may result from cirrhosis, hepatocellular carcinoma, or cardiac disease. TEXT BOOK OF ROBBINS BASIC PATHOLOGY NINTH EDITION PAGE.630